Drug used in acute congestive glaucoma are all except:
1. Atropine
2. Pilocarpine
3. Acetozolamide
4. Mannitol

Correct answer: 1. Atropine

Explanation: Ans. Atropine